Louse transmits -
1. Epidemic typhus
2. Endemic typhus
3. Murine typhus
4. Rickettsial pox

Correct answer: 1. Epidemic typhus

Explanation: Ans. is 'a' i.e., Epidemic typhus Rickettsial diseasesDiseaseAgentInsect vectorMammalian reservoir1. Typhus groupa) Epidemic typhusb) Murine typhus (Endemic typhus)c) Scrub typhusR. prowazekiiR. typhiR. tsutsugamushiLouseFleaMiteHumansRodentsRodents2. Spotted fever groupa) Indian tick typhusb) Rocky mountain spotted feverc) Rickettsial poxR.conoritR.rickettsiiR. akariTickTickMiteRodents, dogsRodents, dogsMice3. Othersa) Q feverb) Trench feverC. burnetiiRocholimacaQuintanaNilLouseCattle, sheep, goats.Humans